Secondary immune response is mediated by
1. IgA
2. IgG
3. IgM
4. IgE

Correct answer: 2. IgG

Explanation: Secondary immune response is mediated by IgG, IgM - Primary Immune response, IgA - Secretory Immunoglobulin found in glandular secretions and serum, IgE - Type I HS Reactions Ref : Ananthanarayana textbook of Microbiology 9th edition Pgno : 96-98